A women at 8 months of pregnancy complains of abdominal pain and slight vaginal bleed. On examination the uterine size is above the expected date with absent fetal heart sounds. The diagnosis:
1. Hydramnios
2. Concealed hemorrhage
3. Active labour
4. Uterine rupture

Correct answer: 2. Concealed hemorrhage

Explanation: Let’s analyse all options separately to see which suits the best.